Krukenberg tumour of ovary is due to carcinoma of
1. Stomach
2. Lung
3. Central nervous system
4. Thyroid

Correct answer: 1. Stomach

Explanation: Ans. (a) Stomach(Ref: Robbins 9th/pg 771; 8th/pg 785)Metastasis from stomach cancer Occurs to the liver (first organ to be affected) followed by lungs, bone, ovary (where it is known as Krukenberg's rumor), periumbilical lymph nodes (Sister Mary Joseph nodule), peritoneal cul-de-sac (Blumer's shelf palpable on rectal or vaginal examination) and left supraclavicular lymph node (Virchow's lymph node